Skeletal derivative of 2deg' pharyngeal arch -
1. Malleus
2. Incus
3. Stapes
4. Maxilla

Correct answer: 3. Stapes

Explanation: Ans. is `c' i.e., Stapes